As per sarnat and sarnat staging of Hyhoxic Ischaemic Encephalopathy (HIE), in which stage neonatal seizures is commonly seen
1. Stage I
2. Stage II
3. Stage III
4. Stage IV

Correct answer: 2. Stage II

Explanation: Sarnat and Sarnat staging of HIE



Characteristics
Stage I
stage II
stage III


1. Level of conciousness
Hyperactive
Lethargic
Stupor, coma


2. Muscle tone
Normal
Hypotonic
Flaccid


3. Tendon reflexes
Hyperactive
Hyperactive
Absent


4. Moro reflex
Strong
Weak
Absent


5. Seizures
None
Common
None